Treatment of choice for endogenous depression with suicidal tendency -
1. Lithium
2. Chlorpromazine
3. ECT
4. Psychoanalysis

Correct answer: 3. ECT